All are true of Delerium tremens EXCEPT:
1. Severe depression
2. Hallucination
3. Extreme anxiety
4. Delusion

Correct answer: 1. Severe depression

Explanation: Severe depression REF: Kaplan and sadock's synopsis of psychiatry 10th ed page 398-399DELIRIUM TREMENS:Most common type of alcohol withdrawalWithin 2-4 days of abstinence from severe drinkingNew memory retention and registration impairedCloudy consciousness, DisorientationVisual hallucination more than tactile and auditoryDisturbed sleep wake cycleSun downing or diurnal variationPsychomotor and autonomic agitationDOC- chlordiazepoxide